Which of the following is M.C. cause of hypotension in fracture ribs (T10T12)-
1. Abdominal solid visceral organ injury
2. Injury to aorta
3. Inter costal artery damage
4. Pulmonary contusion

Correct answer: 1. Abdominal solid visceral organ injury

Explanation: Ans is 'a' ie Abdominal solid viscera injury Most common cause of hypotension in trauma pt. is due to haemorrhage. The blood loss may be external and obvious, or internal and covert or combination of both. The fracture of the lower ribs (T9 - T12)are usually associated with splenic or hepatic injuries and the fracture of upper ribs (T1-T3), clavicle or scapula are associated with major vascular injuries.